Hematuria with dysmorphic RBC are seen in
1. Acute glomerulonephritis
2. Renal TB
3. Renal calculi
4. Chronic renal failure

Correct answer: 1. Acute glomerulonephritis

Explanation: Acute pyelonephritis, a common suppurative inflammation of the kidney and the renal pelvis, is caused by bacterial infection. It is an important manifestation of urinary tract infection (UTI), which can involve the lower (cystitis, prostatitis, urethritis) or upper (pyelonephritis) urinary tract, or both. As we shall see, the great majority of cases of pyelonephritis are associated with infection of the lower urinary tract. Such infection, however, may remain localized without extending to involve the kidney. UTIs constitute an extremely common clinical problem. Refer robbins 9/e p911